Which of the following dimensions is not included in the WHO definition of heatlh -
1. Physical well being
2. Occupational well being
3. Mental well being
4. Social well being

Correct answer: 2. Occupational well being

Explanation: Health is a state of complete physical, mental and social well being and not merely an absence of disease or infirmity.